All are seronegative(spondyloepiphyseal) arthritis with ocular manifestations, except
1. Ankylospondylitis
2. Reiter's disease
3. Rheumatoid arthritis
4. Psoriatic arthritis

Correct answer: 3. Rheumatoid arthritis

Explanation: RA is seropositive . Uveitis is the most common ocular manifestation in patients affected by seronegative spondyloarthropathies. Both genetic and environmental factors play a role in its pathogenesis. As it tends to affect the young adult population, it carries a significant personal and population burden. Immunomodulatory therapy that also acts as a corticosteroid sparing therapy can be effective in controlling chronic uveitis in patients with spondyloarthropathy. Ref - Pubmed.com